A patient on NSAIDS with gastric ulcer and H. pylori infection - the treatment of choice is:
1. H. pylori eradication
2. No need for eradication
3. Check after 8 weeks and let patient continue with NSAIDS
4. Check after 16 weeks and let patient continue with NASAIDS

Correct answer: 1. H. pylori eradication